Which is not a beta lactam antibiotic ?
1. Penicillin
2. Carbepenem
3. Monobactam
4. Azithromycin

Correct answer: 4. Azithromycin